National tuberculosis institute is situated at:
1. Mumbai
2. Kolkata
3. Bengaluru
4. Delhi

Correct answer: 3. Bengaluru

Explanation: Bengaluru